Patients who are grandiose and require admiration from others has which type of personality?
1. Narcissistic
2. Histrionic
3. Borderline
4. Antisocial

Correct answer: 1. Narcissistic

Explanation: Ans. A. NarcissisticGrandiosity and admiration from others are feature of Narcissistic personality disorder.